All of the following are anticoagulants, except :
1. Phytonadione
2. Warfarin
3. LMW heparin
4. Lepirudin

Correct answer: 1. Phytonadione